In Mucoviscidosis of the pancreas the commonest defect is in the -
1. Jejunum
2. Ileum
3. Ascending colon
4. Descending colon

Correct answer: 2. Ileum

Explanation: Terminal ileum is filled with meconium in mucoviscidosis.